A male patient presented with granulomatous penile ulcer. On Wright geimsa stain tiny organisms of 2 microns within macrophages seen. What is the causative organism?
1. LGV
2. Calymmatobacterium granulomatis
3. Neisseria
4. Staph aureus

Correct answer: 2. Calymmatobacterium granulomatis

Explanation: Ans. is 'b' i.e., Calymmatobacterium granulomatosis Investigations Tissue smearMade from a piece of crushed ulcer tissueStained with Giemsa or Leishman stainOrganisms appear as intracellular (in macrophages) "bipolar inclusions" - safety pin or telephone handle appearance.